All are structures passing through the inguinal canal except
1. Spermatic cord
2. Ilioinguinal nerve
3. Genital branch of genitofemoral nerve
4. Inferior epigastric artery

Correct answer: 4. Inferior epigastric artery

Explanation: Content of inguinal canal
-        Ilioinguinal nerve
-       Spermatic cord in male
-        Round ligament of uterus in female
Genital branch of genitofemoral nerve is a content of spermatic cord.